When a group of muscles of a dead body were in state of strong contraction immediately prior to death and remain so even after death, the condition is termed as:
1. Gas stiffening
2. Rigor mortis
3. Cadaveric spasm
4. Cold stiffening

Correct answer: 3. Cadaveric spasm

Explanation: C i.e. Cadaveric Spasm